A 5 year old boy suffering from Duchenne muscular dystrophy and polymyositis has been fasting for 8 hour and has to undergo tendon lengthening procedure. Which anaesthetics should be used?
1. Induction by I.V. scoline and N20 halothane for maintenance
2. Induction by I.V. propofol, N20 and O2 for maintenance
3. Induction by I.V. thiopentone and N20 and halothane for maintenance
4. Inhalational N20, halothane and O2 for maintenance

Correct answer: 2. Induction by I.V. propofol, N20 and O2 for maintenance

Explanation: A halogenated anesthetic agent alone may trigger an episode of malignant hyperthermia (MH) in patients with Duchenne's and other muscular dystrophies, nonspecific myopathies, heat stroke, and osteogenesis imperfecta. Drugs Known to Trigger Malignant Hyperthermia: Inhaled general anesthetics Ether Halothane Methoxyflurane Enflurane Isoflurane Desflurane Sevoflurane Nondepolarizing muscle relaxants Succinylcholine Ref: Butterworth IV J.F., Butterworth IV J.F., Mackey D.C., Wasnick J.D., Mackey D.C., Wasnick J.D. (2013). Chapter 52. Thermoregulation, Hypothermia, & Malignant Hyperthermia. In J.F. Butterworth IV, J.F. Butterworth IV, D.C. Mackey, J.D. Wasnick, D.C. Mackey, J.D. Wasnick (Eds), Morgan & Mikhail's Clinical Anesthesiology, 5e.